Which one of the following is an adverse effect associated with combined oral contraceptives:
1. Cerebral stroke
2. Aggravation of asthma
3. Peripheral neuropathy
4. Nephrotic syndrome

Correct answer: 1. Cerebral stroke